First case in an epidemic is called -
1. Index case
2. Primary case
3. First case
4. None of the above

Correct answer: 2. Primary case